EYE strategy is developed for elimination of
1. Yaws
2. Yellow fever
3. Leptospirosis
4. Zika virus

Correct answer: 2. Yellow fever

Explanation: Ref:Park's Textbook of Preventive and Social Medicine 25th Ed pg.310